Birbeck's granules in the cytoplasm are seen in
1. Langerhan's cells
2. Mast cell
3. Myelocytes
4. Thrombocytes

Correct answer: 1. Langerhan's cells

Explanation: ref Robbins 9/e p622 Birbeck granules, also known as Birbeck bodies, are rod shaped or "tennis-racket" cytoplasmic organelles with a central linear density and a striated appearance. First described in 1961 (where they were simply termed "characteristic granules"), they are solely found in Langerhans cells.